Which decreases secretion of both insulin and glucagon ?
1. Epinephrine
2. Somatostatin
3. Increased blood glucose
4. None

Correct answer: 2. Somatostatin

Explanation: Ans. is b i.e., SomatostatinSomatostatin inhibits secretion of :?i) GH and TSHii) Both insulin and glucagonAbout other optionsEpinephrine stimulates glucagon secretion and inhibits insulin secretion.Increased blood glucose stimulates insulin secretion and inhibits glucagon secretion.